Chest radiographs of children with foreign body aspiration
1. Are always abnormal
2. May show over inflation of the involved lung
3. Always show the foreign body
4. Commonly show pneumothorax

Correct answer: 2. May show over inflation of the involved lung

Explanation: In foreign body aspiration a radiograph is vital as the object may be radio opaque. often its not radio opaque or is obscured by the cardiac shadow or the inflammatory response. over inflation of affectedlung due to inflammatory response. Ref : BAILEY AND LOVE'S SHO PRACTICE OF SURGERY,24 th edition ,PG NO:852